Genetic information transferred by phage is called ?
1. Transformation
2. Lysogenic conversion
3. Transduction
4. Transcription

Correct answer: 3. Transduction

Explanation: Ans. is 'c' i.e., Transduction